Which of the following species of clostridium species does not break carbohydrate and protein -
1. Sporogenes
2. Septicum
3. Cochlearium
4. Novyi

Correct answer: 3. Cochlearium

Explanation: Cl. cochlearium does not break carbohydrate and protein. Neither proteolytic nor Saccharolytic - Cl. cochlearium. Proteolytic Clostridium turn the meat black and produce foul odor - Cl. tetani, Cl botulinum A, B, and F. Saccharolytic Clostridium turn the meat pink -Cl. perfringens, Cl. difficle and , Cl botulinum C, D, E. Robertson's cooked meat (RCM) broth: (refer to the image below) Anaerobic Medium for the growth of Clostridium. Contains unsaturated fatty acids, digested meat, and sulfhydryl compounds. Renders the broth turbid. Saccharolytic Clostridium turn the meat pink, while proteolytic species turn the meat black and produce foul smell. Most of the Clostridium produce gas. Left side tube- Uninoculated Robertson cooked meat . Ride side tube - RCM broth turns into black colour.